Which of the following statement is true regarding defense mechanisms?
1. Unconscious processes
2. Implemented to abolish anxiety and depression
3. Used to resolve internal conflicts
4. All of the above

Correct answer: 4. All of the above

Explanation: Ans. D. All of the aboveDefense mechanisms are unconscious processes used to resolve the conflicts of our inner lives. When they are most effective, especially in those with personality disorders, they can abolish anxiety and depression. Thus, abandoning a defense increases conscious anxiety and depression. Patients with personality disorders may be characterized by their defenses, which are most rigid and intractable.